Multi drug resistant T.B is defined as resistance to
1. INH and pyrizinamide
2. INH and Rifampicin
3. Rifampicin and Pyrizinamide
4. Resistance to all first line of drugs

Correct answer: 2. INH and Rifampicin

Explanation: multidrug-resistant TB (MDR-TB)--a form of the disease caused by bacilli resistant at least to isoniazid and rifampin--occurred in 2013. Ref Harrison 19th edition pg 1103